Triad of Reiter's syndrome includes all except
1. Conjunctivitis
2. Arthritis
3. Urethritis
4. Uveitis

Correct answer: 4. Uveitis

Explanation: Conjunctivitis in eye